Manifestation of ENL include all of the following except –
1. Pancreatitis
2. Fever
3. Hepatitis
4. Arthritis

Correct answer: 1. Pancreatitis

Explanation: The presenting symptoms of ENL include :-


Crops of fresh painful erythematous papules or nodules.
Systemic features → Fever, malaise, arthritis, neuritis, dactylitis, orchitis, iridocyclitis, lymphadenitis, glomerulonephritis, periostitis, hepatitis.